Phagocytic cells in the CNS are
1. Oligodendrocytes
2. Schwanncells
3. Astrocytes
4. Microglial cells

Correct answer: 4. Microglial cells

Explanation: Microglia are scavenger cells that resemble tissue macrophages and remove debris resulting from injury infection and disease. Microglia arise from macrophages outside the nervous system. (Ref: Ganong's review of medical physiology; 23rd edition; pg:80)